What is the lUCD of choice in women with menorrhagia?
1. Lippe's loop
2. Copper-T 200
3. Copper-T 380A
4. Progesterone containing IUCD

Correct answer: 4. Progesterone containing IUCD